False statement is:
1. Repressor binds operator gene
2. Regulator genes produce repressor subunits
3. IPTG is inducer but not substrate
4. Regulator gene is inducible

Correct answer: 4. Regulator gene is inducible

Explanation: Ans. D. Regulator gene inducible(Ref: Harper 31/e page 412)Structural genes are inducible, not the regulator genes.Lac I gene produces Repressor subunits.IPTG is an inducer of lac-operon, but itself is not a substrate. This is called gratuitous inducer.